The drug of choice in lymphogranuloma venereum is :
1. Penicillin
2. Ciprofloxacin
3. Tetracycline
4. Erythromycin

Correct answer: 3. Tetracycline